CD marker of stem cell is:
1. CD 34
2. CD 1
3. CD19
4. CD 21

Correct answer: 1. CD 34

Explanation: Ans: A (CD 34) Ref: Robbins Pathologic Basis of Disease, 8th edition. Explanation:(See following table)Some Immune Cell Antigens Detected by Monoclonal AntibodiesAntigenDesignationNormal Cellular DistributionPRIMARILY T-CELL ASSOCIATEDCD1Thymocytes and Langerhans cellsCD3Thymocytes, mature T cellsCD4Helper T ceils, subset of thymocytesCD5T cells and a small subset of B cellsCD8Cytotoxic T cells, subset of thymocytes, and some NK cellsPRIMARILY B-CELL ASSOCIATEDCD1 0Pre-B cells and germinal-center B cells; also called CALLACD19Pre-B cells and mature B cells but not plasma cellsCD20Pre-B cells after CD19 and mature B ceils but not plasma cellsCD21EBV receptor; mature B cells and follicular dendrstic cellsCD23Activated mature B cellsCD79aMarrow pre-B cells and mature B celtsPRIMARILY MONOCYTE-OR MACROPHAGE-ASSOCIATEDCD11cGranulocytes, monocytes, and macrophages; also expressed by na ry cell leukenmasCD13Immature and mature monocytes and granulocytesCD14MonocytesCD15Granulocytes; Reed-Stern berg cells and variantsCD 33Myeloid progenitors and monocytesCD64Mature myeloid celsPRIMARILY NK-C ELL ASSOCIATEDCD16NK cells and granulocytesCD56NK cells and a subset of T cellsPRIMARILY STEM CELL-AND PROGENITOR DELL-ASSOCIATEDCD34Pluripotent hematopoietic stem cells and progenitor cells of many lineagesACTIVATION MARKERSCD30Activated B cells. T cells, and monocytes;Reed-Sternberg cells and variantsPRESENT ON ALL LEUKOCYTESCD45All leukocytes; also known as leukocyte common antigen (LCA)